A 54-year-old woman with rheumatoid arthritis presents with a 2-year history of dry eyes and dry mouth. Physical examination confirms xerostomia (dry mouth) and xerophthalmia (dry eyes) and reveals enlarged lacrimal glands bilaterally. Histologic examination of the lacrimal glands would likely show an infiltrate of which of the following inflammatory cell types?
1. Fibroblasts
2. Lymphocytes
3. Macrophages
4. Mast cells

Correct answer: 2. Lymphocytes

Explanation: This patient has Sjogren (sicca) syndrome, an autoimmune disease characterized by an intense lymphocytic infiltration of the salivary and lacrimal glands. Patients develop xerostomia and xerophthalmia. The other choices are not characteristic of autoimmune disease.Diagnosis: Sjogren syndrome